Type of growth charts used by anganwadi workers (ICDS) for growth monitoring -
1. NCHS
2. IAP
3. MRGS
4. CDC

Correct answer: 3. MRGS

Explanation: Ans. is 'c' i.e., MRGS o In NRHM and ICDS, government of India has adopted WHO child growth standards 2006 (also known as MGRS `Multicentre growth reference study' standards).